2 snake bite cases found in Bihar, it is
1. Epidemic
2. Pandemic
3. Sporadic
4. Endemic

Correct answer: 3. Sporadic